Dummer's classification is associated with:
1. Apical constriction
2. Apical foramen
3. Root canal isthmus
4. No. of canals

Correct answer: 1. Apical constriction

Explanation: Dummer’s classiﬁcation of topography of apical constriction: